Candle wax dripping sign is seen in -
1. Sarcoidosis
2. SLE
3. HIV
4. Rheumatoid arthritis

Correct answer: 1. Sarcoidosis

Explanation: Ans. is 'a' i.e., Sarcoidosis Candle wax chippins sign is a feature of occular Sarcoidosiso Ocular involvement occurs in approximately 25% of patients with sarcoidosis.# The uveal tract is the most common site of ocular involvement by sarcoidosis.# Granulomatous anterior uveitis, either acute or chronic, is the most common ocular manifestation of sarcoidosis. Less than 1/3 presenting with posterior uveitis without anterior involvement.o In 2009, an international group of uveitis specialists met for the International Workshop On Ocular Sarcoidosis (IWOS). They determined the following criteria for the diagnosis of ocular sarcoid:o Seven Signs of Intraocular Sarcoidosis# Mutton-fat keratic precipitates (KPs)/small granulomatous KPs and/or iris nodules (Koeppe/Busacca)# Trabecular meshwork (TM) nodules and/or tent-shaped peripheral anterior synechiae (PAS)# Vitreous opacities displaying snowballs/"strings of pearls"# Multiple chorioretinal peripheral lesions (active and/or atrophic)# Nodular and/or segmental peri-phlebitis (+/- candlewax drippings) and/or retinal macroaneurism in an inflamed eye.# Optic disc nodule(s)/granuloma(s) and/or solitary choroidal nodule# BilateralityPosterior segment lesions occur in 14-20% of patients with ocular sarcoidosis. Cystoid macular edema is frequently present in the setting of posterior segment involvementDiagnostic. Criteriao The IWOS refers to definitive ocular sarcoidosis as biopsy-supported diagnosis with a compatible uveitis. Presumed ocular sarcoidosis was defined as a chest x-ray showing bilateral hilar lymphadenopathy associated with a compatible uveitis.